The gene that predisposes to retinoblastoma is located at -
1. Chromosome 13q14
2. Chromosome 15q11
3. Chromosome 11p13
4. Chromosome 22q11

Correct answer: 1. Chromosome 13q14

Explanation: Robbins basic pathology 6th edition. Chapter Neoplasia. page no. 287. The mutations required to produce retinoblastoma involve Rb gene located on chromosome 13q14.